Not a B cell marker
1. CD19
2. CD20
3. CD34
4. CD10

Correct answer: 3. CD34